Medulla oblongata is derived from -
1. Telencephalon
2. Diencephalon
3. Mesencephalon
4. Myelencephalon

Correct answer: 4. Myelencephalon

Explanation: Ans. is 'd' i.e., Myelencephalon o Nervous system develops from ectoderm (neuroectoderm). Nervous system develops from neural tube which in turn develops by process of neurulation, i.e. formation of neural plate and its infolding into neural tube. Structures formed from neural tube areA) From cranial part (enlarged cephalic part)o Gives rise to brain. Developmental parts are :Fore brain (prosencephalon)Telencephalon : Cerebral hemisphere and lateral ventricle.Diencephalon : Optic cup and stalk (gives rise to retina), pituitary, thalamus, hypothalamus, epithalamus, pineal gland, and third ventricle.Midbrain (mesencephalon)Cerebral aqueduct.Hindbrain (rhombencephalon)Metencephalon : Cerebellum, ponsMyelencephalon : Medulla oblongataB) From caudal parto Gives rise to spinal cord.